Treatment of choice in saddle nose is?
1. Augmentation Rhinoplasty
2. SMR
3. FESS
4. None

Correct answer: 1. Augmentation Rhinoplasty

Explanation: Saddle nose The deformity can be corrected by augmentation rhinoplasty by filling the dorsum with cartilage, bone or a synthetic implant. If the deformity is only cartilaginous, cartilage is taken from nasal septum or article and laid in a single or multiple layers. If deformity involves both cartilage and bone, the cancellous bone from the iliac crest is the best. Autografts are preferred to allografts. Saddle deformity can be corrected by synthetic implants of silicon or Teflon but they are likely to be extruded. (Ref: Diseases of ENT, PL Dhingra, 7th edition, pg no. 161)